Visceral aneurysm is most commonly seen in
1. Splenic
2. Renal
3. Hepatic
4. Coronary

Correct answer: 1. Splenic

Explanation: Splenic Artery Aneurysm The splenic artery is a blood vessel that supplies blood to the spleen. The spleen is an organ involved in regulating the immune system. Aneurysms of the splenic artery are the third most common type of aneurysm, but their prevalence is still low. Their overall incidence is about .1 percent. Splenic Artery Aneurysm Risk Factors Splenic artery aneurysms are more common in women than men, and these are also noted to occur in younger patients with an average age of 52 years. Other risk factors include: Lupus Multiple pregnancies Pancreatitis Polyarteritis nodosa Portal hypertension Trauma Splenic Artery Disease Symptoms